Liver biopsy in malaria will show -
1. Microabscesses
2. Kupffer cell hyperplasia
3. Piecemeal necrosis
4. Non caseating granuloma

Correct answer: 2. Kupffer cell hyperplasia

Explanation: Answer-B. Kupffer cell hyperplasiaMicroscopic findings of liver in malaria-The kupffer's cells are increased in number and their cytoplasms are filled with malarial pigment (haematin) and parasitised erythrocytes.The parenchyma cells ofthe liver lying in the central zone show fatty degeneration, atrophy and necrosis.Fibrous tissue is not increased to any great extent.